Undertaker's fracture is
1. C23
2. C34
3. C56
4. C67

Correct answer: 4. C67

Explanation: undertaker's fractureIt is caused due to the head falling backward forcibly after death, which tears open one of the intervertebral discs, usually around C6 and C7Due to the prolapsed of the cervical intervertebral disc, there is increased tendency of subluxation of the lower cervical spine(Refer: Mohindra's Fundamentals of Orthopedics, 2nd edition, pg no. 228)